Von Gierke's occurs due to deficiency of
1. Glucose-6-phosphatase
2. Liver Phosphorylase
3. Muscle phosphorylase
4. Debranching enzyme

Correct answer: 1. Glucose-6-phosphatase

Explanation: Glycogen storage disease type I (GSD I) or von Gierke's disease, is the most common of the glycogen storage disease. This genetic disease results from deficiency of the enzyme glucose-6-phosphatase and has an incidence in the American population of approximately 1 in 100,000 births.Ref: DM Vasudevan, 7th edition, page no: 128